Fracture neck femur cause of non-union?
1. Injury to blood supply with shearing stress
2. Poor nutrition of the patient
3. Smoking
4. Old age and osteoporosis

Correct answer: 1. Injury to blood supply with shearing stress

Explanation: Ans. is 'a' i.e., Injury to blood supply with shearing stress Causes of non-union in fracture neck of femur are :? Fracture morphology - high fracture angle and increased shear. Displaced fracture grade 3/4. Fracture comminution. Inadequate reduction and stability of fixation. Poor bone quality. Injury to vascularity- direct and tamponade effect. Absence of cambium layer in periosteum. Factors in synovial fluid which inhibit the callus formation. Lack of hematoma. Washing away and dilution of osteogenic factors.